Renal angle lies between
1. 12th rib & lateral border of sacrospinalis
2. 11th rib & lateral border of sacrospinalis
3. 12th rib & lateral border of quadratus lumborum
4. 11th rib & lateral border of quadratus lumborum

Correct answer: 1. 12th rib & lateral border of sacrospinalis

Explanation: Renal-angle is area located on either side of the human back between the lateral borders of the erector spinae muscles and inferior borders of the twelfth rib, so called because the kidney can be felt at this location. Ref -researchgate.net